What is the concentration of Na (meq/L) in normal saline?
1. 77
2. 109
3. 130
4. 154

Correct answer: 4. 154

Explanation: Normal saline is an isotonic crystalloid. The composition of normal saline is water, sodium: 154meq/l and 154meq/l of chloride. Types of crystalloids: Isotonic: D5W, normal saline, Ringer's lactate. Hypotonic: Half normal saline, 0.25% NaCl solution. Hypertonic: Dextrose 10% in water, Dextrose 50% in water. Composition of crystalloids: D5W: dextrose 5% in water. Normal saline: water, 154 meq/L of Na and chloride. Dextrose 5% and half normal saline: water, dextrose, 77 meq/l of sodium and water. Dextrose 5% and 0.25% NaCl: dextrose, 34 meq/l of Na and Cl. Ringer's solution: water, 130 meq/l of Na, 109 meq/l of Cl, 4 meq/l of K, 3 meq/l of calcium. Ringer lactate: water and all electrolytes listed for Ringer lactate plus 28 meq/l of lactate. Ref: Straight A's in Fluids & Electrolytes By Lippincott Williams & Wilkins, page 242